The most common cause of proptosis in adults is
1. Preseptal cellulitis
2. Orbital cellulitis
3. Thyroid eye disease
4. Capillary hemangioma

Correct answer: 3. Thyroid eye disease

Explanation: Proptosis:- Ref:- A K Khurana Comprehensive Ophthalmology 7th edition; pg num:- 398